Sequence of putrefaction:
1. Hea-brain-uterus-spleen
2. Spleen-brain-hea-uterus
3. Hea-spleen-brain-uterus
4. Hea-brain-spleen-uterus

Correct answer: 2. Spleen-brain-hea-uterus

Explanation: Ans. Spleen-brain-hea-uterus